Flourine levels intake required for development of Skeletal Fluorosis
1. 1.0 - 2.0 ppm
2. 2.0 - 3.0 ppm
3. 3.0 - 6.0 ppm
4. 6-9 ppm

Correct answer: 3. 3.0 - 6.0 ppm